All the following statements about Epinephrine used as an adjuvant are true Except
1. Extends block duration, limits systemic uptake, supplements analgesic effect, and acts as an indicator of intravascular injection
2. Can cause toxicity to peripheral nerves in patients with diabetes or chemotherapy
3. Local anaesthetics and epinephrine have no effect on peripheral nerve blood flow
4. Can aggravate local anaesthetic-induced neuraxial or peripheral nerve injury

Correct answer: 3. Local anaesthetics and epinephrine have no effect on peripheral nerve blood flow

Explanation: Local anesthetics and epinephrine significantly reduce peripheral nerve blood flow. Low-dosage epidural usage results in uptake and decreases systemic vascular resistance and increases cardiac output.